Mechanism of action of streptomycin-
1. Inhibition of translation
2. Inhibition of signal transduction
3. Inhibition of citric acid cycle
4. Inhibits mitochondria

Correct answer: 1. Inhibition of translation

Explanation: Ans. is 'a' i.e., Inhibition of translation o Streptomycin inhibit protein synthesis (translation).